Oval cells are seen in
1. Skin
2. Cornea
3. Liver
4. Bone

Correct answer: 3. Liver

Explanation: Hepatic oval cells (HOC) are a small subpopulation of cells found in the liver when hepatocyte proliferation is inhibited and followed by some type of hepatic injury. ... These cells are believed to be bipotential, i.e., able to differentiate into hepatocytes or bile ductular cells Ref Robbins 9/e p603 from liver and biliary system and internet